Zileuton, a 5-lipooxigenase inhibitor, acts by which of the following mechanisms?
1. LT C4 synthesis inhibitor
2. D4 synthesis inhibitor
3. LT B4 synthesis inhibitor
4. All of the above

Correct answer: 4. All of the above

Explanation: Ans. d (All of the above) (Ref. KDT, Pharmacology, 6th ed. 175, 223)ZILEUTON# 5-Lipoxygenase inhibitor and blocks LTC4, LTD4 as well as LTB4 Synthesis# Duration of action - Short 3-4 hrs# Adverse effect - Hepatotoxicity.MONTELEUKAST, ZAFIRLUKAST# Cys LT1 receptor antagonist used in asthma prophylaxis# Side effects:- Eosinophilia, Neuropathy, Churg-Strauss disease